Peak value of Karyopyknotic index is reached on
1. Proliferative phase
2. Day of ovulation
3. Secretory phase
4. Menopause

Correct answer: 2. Day of ovulation

Explanation: Normally, peak value of KPI is reached on the day of ovulation.